Clear cell renal carinoma is due to ?
1. 3p deletion
2. 3q deletion
3. 6p deletion
4. 9p deletion

Correct answer: 1. 3p deletion

Explanation: Answer- A. 3p deletionClear cell- cell origin (proximal tubule)- 3p deletions (3p-), VHL gene mutations, 5q gains